Circulus iridis major is formed by the anastomosis of:
1. Long posterior ciliary arteries with short posterior ciliary arteries
2. Anterior ciliary arteries with short posterior ciliary arteries
3. Long posterior ciliary arteries with anterior ciliary arteries
4. Long posterior arteries with anterior conjunctival arteries

Correct answer: 3. Long posterior ciliary arteries with anterior ciliary arteries

Explanation: Ans. Long posterior ciliary arteries with anterior ciliary arteries